Treatment for stage T3N1 of carcinoma maxilla is ?
1. Radiation therapy only
2. Chemotherapy only
3. Surgery and radiation
4. Chemotherapy and radiation

Correct answer: 3. Surgery and radiation

Explanation: Ans. is 'c' i.e., Surgery and radiation Maxillary carcinoma is of two types a) Squamous cell carcinoma -- (M. C. type of carcinoma) b) Adenocarcinoma T/T of maxillary carcinoma Squamous cell carcinoma --> Combination of Surgery and radiotherapy gives better results than either alone. Radiotherapy can be given before or after surgery (The t/t is same in every stage of maxillary carcinoma) Adenocarcinoma --> Radiotherapy is ineffective, so only surgery is done.